Tumour suppressor gene -
1. k- RAS gene
2. Rb gene
3. FOS gene
4. MYC gene

Correct answer: 2. Rb gene

Explanation: Ans. is 'b' i.e., Rb gene